Ovary produces all except
1. Gonadotropin
2. Testosterone
3. Estrogen
4. Inhibin B

Correct answer: 1. Gonadotropin

Explanation: Gonadotropin is any hormone having a stimulating effect on the gonads. Two such hormones are secreted by the anterior pituitary gland: follicle-stimulating hormone and luteinizing hormone, both of which are active, but with differing effects, in the two sexes. Called also gonadotropic hormone.Ref: Ganong's review of medical physiology; 24th edition; page no:-324